Calculate the filtration,if GFR = 125 ml / min and renal plasma = 625 ml / min
1. 5%
2. 20%
3. 50%
4. 10%

Correct answer: 2. 20%